Which of the following is false about tympanic membrane:
1. Cone of light is antero-inferior
2. Shrapnell's membrane is also known as pars flaccida
3. Healed perforation has 3 layers
4. TM attachment to tip of malleus handle is called umbo

Correct answer: 3. Healed perforation has 3 layers

Explanation: (c) Healed perforation has 3 layers(Ref. Scott Brown, 8th ed., Vol 2; 529)The TM membrane which heals by itself does not have the fibrous layer. It has 2 layers only, the outer epithelial and the inner endothelial.Rest are true